Which of the following has a single ossification centre only
1. Clavicle
2. Carpals
3. Metacarpals
4. Metatarsals

Correct answer: 2. Carpals

Explanation: The carpal bones are ossified endochondrally (from within the cartilage) and the ossification centers appear only after birth.The formation of these centers roughly follows a chronological spiral pattern starting in the capitate and hamate during the first year of life.The ulnar bones are then ossified before the radial bones, while the sesamoid pisiform arises in the tendon of the flexor carpi ulnaris after more than ten years. The commencement of ossification for each bone occurs over period like other bones.